Trends can be best represented by
1. Scatter diagram
2. Line diagram
3. Bar diagram
4. Pie chart

Correct answer: 2. Line diagram